First dose effect is seen with:
1. Prazosin
2. Guanethidine
3. Propranolol
4. Clonidine

Correct answer: 1. Prazosin

Explanation: Ans. A. PrazosinFist dose effect is postural hypotension experienced by patient when he is on Alpha blocker. This effect can be minimized by taking low dose at the starting and take the medicine at bed time.